Which of the following is not an Autosomal dominant disorder?
1. Polycystic kidney disease
2. EDS
3. Osteogenesis imperfecta
4. Alkaptonuria

Correct answer: 4. Alkaptonuria

Explanation: Ans. is 'd' i.e., Alkaptonuria